Pseudo pelade is
1. Premature alopecia
2. Traction
3. Cicatricial alopecia
4. Alopecia steatoides

Correct answer: 3. Cicatricial alopecia

Explanation: *Pseudopelade of Brocq is a cicatricial alopecia which is chronic slowly progressive and patchy occurs without any inflammation .The patches look like foot print in snow appearance. *Pseudopelade of Brocq is an unusual form of permanent hair loss from the scalp, the cause of which is unknown. This is a specific diagnosis reached after excluding known causes of patchy scarring alopecia (pseudopelade) such as lichen planopilaris and discoid lupus erythematosus. Ref Harrison 20th edition pg 1221 (Ref: Page 2305 chapter 89.41Rook's)